Commonest used flap for head and neck surgery is?
1. Pectoralis major flap
2. Deltapectoral flap
3. Lattismus dorsi flap
4. Temporalis flap

Correct answer: 1. Pectoralis major flap

Explanation: . Reconstruction of tongue and other area after surgery: By deltopectoral flap, forehead flap, pectoralis major muscle flap, skin grafting.most preferred graft in the case of head and neck surgeries ref:SRB;s manual of surgery,ed 3,pg no 345